Modified gingival index with moderate inflammation, glazing, redness, edema and/or hypertrophy of marginal or papillary gingiva. Score will be?
1. 1
2. 2
3. 3
4. 4

Correct answer: 3. 3